The infrahyoid muscles are innervated by the:
1. Ansa cervicalis
2. Hypoglossal nerve
3. Tenth cranial nerve
4. Ansa subclavia

Correct answer: 1. Ansa cervicalis